Single most indicator of likelihoodness of rapid progression of hepatitis to liver cirrhosis is:
1. Associated serological findings
2. Underlying etiology
3. Presence of bridging necrosis
4. Presence of Mallory hyaline

Correct answer: 2. Underlying etiology

Explanation: Ans. b. Underlying etiology. (Ref. Robbin's pathology 7th ed. Pg. 898)# The single most indicator of the likelyhoodness of rapid progression chronic hepatitis to cirrhosis is underlying etiology.# 'Interface hepatitis and bridging necrosis' are harbingers of progressive liver diseases, seen in patients with any form of chronic hepatitis.Additional Educational points:Bridging fibrosis bands due to bridging fibrosis are feature of cirrhosis of liver/chronic active hepatitis. Non Cirrhotic portal fibrosis (NCPF) may be distinguished from cirrhosis by absence of hepatocellular damage (no bridging fibrosis) and lack of nodular regenerative activity. It is characterized by intrahepatic phlebosclerosis and fibrosis, fibrosis in and around the portal tracts, portal vein and splenic vein sclerosis and thrombosis of medium and small branches of portal vein and splenic vein and nonspecific inflammatory cell infiltrates in the portal tracts.